Caspofungin is an antifungal which acts on:
1. Cell wall
2. Cell membrane
3. Mitochondria
4. Nucleic acid

Correct answer: 1. Cell wall

Explanation: Caspofungin, Micafungin, Anidulafungin belongs to "Echocandin"  group which act by inhibiting Beta1-3 glucan synthesis which is a component of cell wall.